Which enzyme is not released as a proenzyme
1. Elastase
2. Trypsin
3. Amylase
4. Chymotrypsin

Correct answer: 3. Amylase

Explanation: Proenzyme of 
-        Elastase- Proelastase
-        Trypsin- Trypsinogen
-        Chymotrypsin- Chymotrypsinogen